Strong correlation is signified by a correlation coefficient of?
1. Zero
2. 1
3. Less than 1
4. More than 1

Correct answer: 2. 1

Explanation: ANSWER: (B) 1REF: Park 20th edition page 755How to Interpret a Correlation Coefficient:The sign and the absolute value of a correlation coefficient describe the direction and the magnitude of the relationship between two variables.The value of a correlation coefficient ranges between -1 and 1.The greater the absolute value of a correlation coefficient, the stronger the linear relationship.The strongest linear relationship is indicated by a correlation coefficient of -1 or 1.The weakest linear relationship is indicated by a correlation coefficient equal to 0.A positive correlation means that if one variable gets bigger, the other variable tends to get bigger.A negative correlation means that if one variable gets bigger, the other variable tends to get smaller.